Which of the following is a polychlorinated hydrocarbon?
1. Parathion
2. Malathion
3. Diazinon
4. Dieldrin/Endrin

Correct answer: 4. Dieldrin/Endrin

Explanation: Organochlorine insecticides are chlorinated hydrocarbons and are divided into four types as:* DDT (dichlorodiphenyl-trichloroethane) and analogues* Benzene hexachloride group -- e.g. BHC, lindane* Cyclodines and related compounds -- e.g. endrin, aldrin,dieldrin, endosulfan, sobenzan{ polycyclic polychlorinated hydrocarbon}* Toxaphene and related compounds -- e.g. toxaphen Ref: K.S.Narayan Reddy's Synopsis of Forensic Medicine and Toxicology, 29th edition, Chapter 24, page-286.